The propensity of recurrence after surgical intervention is the least in
1. Ameloblastoma
2. Odontogenicmyxoma
3. Odontoma
4. Fibrocarcoma

Correct answer: 3. Odontoma